For the following side effects, select the most likely medication to cause them.Disinterest in food with protein/calorie malnutrition.
1. selective serotonin reuptake inhibitors (SSRIs)
2. mineral oil
3. diuretics
4. INH

Correct answer: 1. selective serotonin reuptake inhibitors (SSRIs)

Explanation: Tricyclic antidepressants and SSRIs are both effective treatments for depression, but their side-effect profiles are different. Tricyclics can promote weight gain while weight loss is more common with SSRIs.